False about Hydrocyanic acid.
1. Also called as muriatic acid
2. Sodium nitrite and amyl nitrite are used in treatment
3. Inhibits cytochrome oxidase
4. Delayed neurological sequel can develop in form of Parkinson's disease

Correct answer: 1. Also called as muriatic acid

Explanation: Hydrocyanic acid is not muriatic acid. Oil of vitriol - Sulphuric acid Muriatic acid - Hydrochloric acid Aqua fois - Nitric acid Carbolic acid - Phenol Salt of sorrel - oxalic acid